One year old baby exclusively breast fed has a lcm. hepatomegaly severe pallor and no spleen.The most important investigation is -
1. B12 estimation
2. Serum iron estimation
3. Folic and estimation
4. Fetal hemoglobin estimation

Correct answer: 2. Serum iron estimation

Explanation: Ans. is 'b' i.e., Serum iron estimation o By the age of 6 months the breast-fed infant's diet should be supplemented with iron fortified complementary foods because iron in breast milk is sufficient upto the age of 6 months. o The baby in question has been exclusively breast fed upto 1 year, so he has developed iron deficiency anemia.